Neuroblastoma-good prognostic factor is –
1. N–myc amplification
2. RAS oncogene
3. Hyperdiploidy
4. Translocation

Correct answer: 3. Hyperdiploidy